Ideal dose of Diptheria antitoxin given for treatment is:
1. 10,000 to 1,00,000 units
2. 20,000 to 1,00,000 units
3. 10,000 to 2,00,000 units
4. 20,000 to 2,00,000 units

Correct answer: 2. 20,000 to 1,00,000 units

Explanation: Diphtheria antitoxin - Should be given immediately when diptheria is suspected as fatality rate increases with delay in starting antitoxin treatment. The recommended dose is 20000 to 100000 units for serious cases Diphtheria antibody titer considered as optimally protective is>0.1 IU/mL.